The most commonly performed surgery for Pott's paraplegia is _____:
1. Hongkong operation
2. Laminectomy
3. Anterolateral decompression
4. Costo-transversectomy

Correct answer: 3. Anterolateral decompression

Explanation: Ans. C. Anterolateral decompressionAll of the following surgeries can be performed in case of Pott's paraplegia but the most commonly performed surgery to relieve paraplegia is an Anterolateral decompression.Here, the spine is opened from its lateral side and access is made to the front and side of the cord, thus called antero- lateral decompression.Structures are removed in following order to achieve adequate exposure: ribs, transverse process, pedicle, and part of body of the vertebrae. Lamina or facet joints are not removed, otherwise stability of the joint will be seriously jeopardized.